At the physiological pH the DNA molecules are:
1. Positively charged
2. Amphipathic
3. Negatively charged
4. Neutral

Correct answer: 3. Negatively charged

Explanation: DNA molecules are negatively charged. Histones, along with positively charged ions such as Mg2+, help neutralize the negatively charged DNA phosphate groups. Histone proteins possess an unusually high content of basic amino acids (arginine and lysine) that, through ionic bonds, facilitate interaction with the negatively charged DNA. Ref: Biochemistry By Richard A. Harvey (Ph. D.), Richard A. Harvey, Denise R. Ferrier, 2011, Page 409.